Drug of choice In pregnancy-induced hypertension among the following is ?
1. Amopldipine
2. Losaail
3. Diuretic
4. Methyldopa

Correct answer: 4. Methyldopa

Explanation: Methyldopa is a centrally acting sympathetic drug. They stimulate vasomotor Centre and decreases blood pressure. They do not have a teratogenic effect. Hydralazine and magnesium are also safe for HTN and eclampsia during pregnancy (REF. Essential of medical pharmacology KD TRIPATHI 8th Edition)